True about metaplasia is-
1. Loss of polarity
2. Nucleus is smaller in size
3. It is a reversible change
4. Immature cells

Correct answer: 3. It is a reversible change

Explanation: Ans is 'c' i.e; It is a reversible change Metaplasiao Metaplasia is an adaptive change in which one adult (mature) cell type is replaced by another adult (mature) cell.o In this differentiation is not lost, rather it changes from one lineage to another, i.e. stems cell differentiates along a new pathway. But, the resulting cells are fully mature and differentiatedo It is reversible.o There is no pleomorphism, and cell polarity as well as cell & nuclear size are not altered.o Transdifferentiation is a type of metaplasia in which a non-stem cell transform into a different type of cell or an already differentiated stem cells creates cells outside its already established differentiation.